25-di hydroxy cholecalciferol is converted to 1,25-dihy- drocholecalciferol in:
1. Skin
2. Lung
3. Liver
4. Kidney

Correct answer: 4. Kidney

Explanation: Ans. (d) KidneyRef: Ganong 23rd ed. / 674